In orthotopic liver transplantation, which is the best way to get bile drainage in donor liver
1. Donor bile duct with recipient bile duct or Roux-en-Y choledochojejunostomy
2. Donor bile duct with duodenum of recipient
3. Donor bile duct with jejunum of recipient
4. External drainage for few days followed by choledochojejunostomy a

Correct answer: 1. Donor bile duct with recipient bile duct or Roux-en-Y choledochojejunostomy

Explanation: The preferred method biliary drainage during orthotopic liver transplantation is direct end to end anastomosis between donor common bile duct and recipient common bile duct Bile Duct anastomosis in orthotopic liver transplantation Choledochocholedochostomy(CDCD) This is end to end anastomosis donor common bile duct and recipient common bile duct This is preferred bile duct anastomosis and when the recepient bile duct not diseased Choledochojejunostomy (CDJ) This is an Roux-en-Y configuration anastomosis between the end of the common bile duct and the sidebof a loop of jejunum This is an alternative bile duct anastomosis and is performed when CDCD anastomosis is not feasible. This may be the case when the recepient extrahepatic bile duct is diseased or small or when there is significant recepient donor duct size mismatch. Ref: Blumgart 5th edition Pg no : 1727-1728